The usual order of appearance of the primary teeth in the mouth is:
1. Central incisors, first molars, lateral incisors, second molars, canines
2. Central incisors, lateral incisors, canines, second molars, first molars
3. Central incisors, lateral incisors, first molars canines, second molars
4. Central incisors, Lateral incisors, first molars second molars, canines

Correct answer: 3. Central incisors, lateral incisors, first molars canines, second molars